Radiation exposure during infancy has been linked to which one of the following carcinoma -
1. Breast
2. Melanoma
3. Thyroid
4. Lung

Correct answer: 3. Thyroid

Explanation: Ans. is 'c' i.e., Thyroid o Radiation induced cancerso Radiation may induce some non-lethal changes in DNA sequences which may cause malignant transformation.* Examples of Radiation induced cancersTypes of ExposureTypes of Cancer ObservedNeck irradiation during infancy for benign conditionsThyroid carcinomaRadiation therapy for others malignant tumorsThyroid carcinomaBreast cancerGastric cancerMelanomaLung cancerSarcomas in the fieldCranial irradiationCentral nervous system tumorsBreast irradiation for postpartum mastitisBreast cancerBrush-licking by radium dial paintersBone sarcomasUranium miningLung cancerIn utero exposureLeukemia